Arterial anastomosis around the shoulder is between
1. 2nd part of subclavian artery with 2nd part of axillary artery
2. 1st part of subclavian artery with 3rd part of axillary artery
3. 3rd part of subclavian artery with 1st part of axillary artery
4. 3rd part of subclavian artery with 3rd part of axillary artery

Correct answer: 2. 1st part of subclavian artery with 3rd part of axillary artery

Explanation: -Arterial anastomosis around the scapula is principally formed by the first part of subclavian and third part of axillary arteries. -These anastomosis takes place at 2 sites :around the body of the scapula and over the acromion process of the scapula. -If the subclavian and axillary arteries are blocked anywhere between these 2 sitesscapular anastomosis serves as a potential pathway of collateral circulation to ensure adequate blood supply to the upper limb -Reference: Textbook of anatomy,Upper limb and thorax, Vishram Singh, 2nd editon, page no.51